Otic barotrauma results due to -
1. Ascent in air
2. Descent in air
3. Linear acceleration
4. Sudden acceleration

Correct answer: 2. Descent in air

Explanation: Otitic barotrauma or Aero otitis media results due to rapid descent during air flight, underwater divising or compression in pressure chamber.